Which of the following x-ray should be advised for age determination between 1-13 years of age?
1. Shoulder
2. Wrist
3. Elbow
4. Iliac bones

Correct answer: 2. Wrist

Explanation: Ans. B. Wrist. (Ref. Essential Paediatrics by Ghai 7th/pg. 4;Parikhys 6/e, pg 2.10; Reddy 28/e, pg 72)To determine the skeletal age:A Radiograph of SHOULDER is most helpful= in infants between 3-9 months.A A single film of HAND & WRIST = adequate in childern between 1-13 years.A Film of ELBOW & HIP = in children between 12-14 years .